A supernumerary tooth results from a deviation during
1. Initiation
2. Differentiation
3. Apposition
4. Calcification

Correct answer: 1. Initiation